Paranasal sinus opening in middle meatus-a) Maxillaryb) Anterior ethmoidc) Posterior ethmoidd) Frontale) Sphenoid
1. abd
2. bcd
3. abc
4. ab

Correct answer: 1. abd